Econazole is useful for the treatment of following fungal infections Except
1. Tinea pedis
2. Histoplasma capsulatum
3. Tinea corporis
4. Cutaneous candidiasis

Correct answer: 2. Histoplasma capsulatum

Explanation: (Refer: Rang and Dale's Clinical Pharmacology, 7th edition, pg no: 652)(Refer: K. D. Tripathi's Essentials of Medical Pharmacology, 7th edition, pg no: 792)Antifungal agents Mechanism of anti fungal agentsDrugsAntibiotics Polyene Amphotericin B , Nystatin , Hamycin Echinocandins Caspofungin , Micafungin , Anidulafungin Heterocyclic BenzofuranGriseofulvin Antimetabolite Flucytosine Azoles Topical Imidazoles Clotrimazole , Econazole , Miconazole , Oxiconazole Systemic Imidazoles Ketoconazole Systemic triazole Fluconazole , Itraconazole , Voriconazole,Posaconazole Allylamine Terbinafine Other topical agents Undecylenic acid , Benzoic acid , Quiniodochlor , Ciclopirox olamine , Butenafine , Sodium thiosulfate Drugs used for treatment of systemic fungal infections Amphotericin B, Flucytosine, Triazoles ( Ketoconazole, Fluconazole, Voriconazole, Itraconazole, Posaconazole, Rabuconazole), Echinocandins (Caspofungin, Micafungin, Anidulafungin )Drugs used for treatment of superficial fungal infections Griseofulvin, Allylamines, Azoles (Ketoconazole, Fluconazole, Itraconazole )Topical drugs for superficial fungal infections Polyenes , Imidazoles (Clotrimazole , Econazole , Miconazole , Oxiconazole Terconazole , Butaconazole , Tioconazole , Seaconazole ) , Allylamines , Ciclopirox olamine , Benzoic acid with salicylic acid , Tolnaftate , Undecylenic acid , Haloprogin